Brown colored urine is seen in the -
1. Nitric acid poisoning
2. Carbolic acid poisoning
3. Sulphuric acid poisoning
4. Hydrochloric acid poisoning

Correct answer: 1. Nitric acid poisoning